Which of the following statements about opioid receptor antagonists is false -
1. Naloxone can be used for treatment of opioid induced constipation
2. Naltrexone may be used for treatment of alcohol dependence
3. Nalmefine has a longer half life than naloxone
4. Naloxone is more potent than naltrexone

Correct answer: 4. Naloxone is more potent than naltrexone

Explanation: Ans. is 'd' i.e., Naloxone is more potent than naltrexone o Naltrexone is more potent than naloxone. Naltrexone has 3 to 5 times more potency than naloxone. o Opioid induced constipation that is refractory to laxative may be treated with oral naloxone. Oral naloxone can reverse opioid induced constipation without precipitating withdrawal because of its extensive hepatic first pass metabolism, which leads to low plasma level. o Naltrexone is used to decrease craving in chronic alcoholism.